All of the folowing are FALSE about Erb's paralysis EXCEPT?
1. Supination of forearm
2. Injury to lower trunk of Brachial Plexus
3. Inability to initiate abduction
4. Decreased sensation on medial side of hand

Correct answer: 3. Inability to initiate abduction

Explanation: Injury to the upper trunk of brachial plexus causes Erb's paralysis. Nerve roots involved = C5 - C6 Muscles paralysed - Biceps brachii Brachialis Deltoid Brachioradialis Supraspinatus Infraspinatus partly Supinator Deformity: k/a - policeman / porter / waiter's tip hand Arm hangs by the side, adducted & medially rotated Forearm extended & pronated Disability: loss of the fall movements: Abduction & lateral rotation of arm at shoulder Bicep with supinator jerk lost Sensory loss over small area of deltoid.